Patient with hemophilia A have bleeding disorder because of:
1. Lack of platelet aggregation
2. Lack of reaction accelerator during activation of factor X in coagulation cascade
3. Neutralization of antithrombin III
4. Release of Thromboxane A2

Correct answer: 2. Lack of reaction accelerator during activation of factor X in coagulation cascade

Explanation: Hemophilia A - X- linked disorder -90% cases- deficiency of factor 8 -10% cases - functional defect of factor 8 -Intrinsic Pathway affected -Factor VIIIa complex is the most important activator of factor X required for conversion of prothrombin to thrombin. -In symptomatic cases there is a tendency toward easy bruising and massive hemorrhage after trauma or operative procedures